All of the following are cyanotic heart diseases, Except :
1. TOF
2. PDA
3. Tricuspid Atresia
4. Eisenmenger's complex

Correct answer: 2. PDA

Explanation: Answer is B (PDA) Patent Ductus Arteriosus is not classified as a cyanotic congenital heart disease. PDA is an Acyanotic Heart disease with Left to Right shunt